Stage 1 cutaneous T cell lymphoma treatment is ?
1. PUVA
2. Biological response modifiers
3. Systemic chemotherapy
4. Extracorporial photopheresis

Correct answer: 1. PUVA

Explanation: Ans is 'a' i.e., PUVA